Osteomyelitis can mimic which of the following tumor?
1. Osteoclastoma
2. Ewing sarcoma
3. Chondroma
4. None of the above

Correct answer: 2. Ewing sarcoma

Explanation: Distinguishing between hematogenous osteomyelitis and a bone sarcoma is difficult when there is no trauma, no systemic disease, and no sign of infection locally, radiographic changes of soft tissue swelling, cortical tunneling, focal cancellous bone lysis, focal cortical resorption, and a periosteal reaction in osteomyelitis are often mistaken for tumors, and Ewing sarcoma is usually associated with fever.(Refer: Nelson's Textbook of Pediatrics, SAE, 1st edition, pg no. 2471)